Carbonic anhydrase inhibitor should not be given in:
1. Sulfonamide hypersensitivity
2. Glaucoma
3. High altitude sickness
4. Epilepsy

Correct answer: 1. Sulfonamide hypersensitivity

Explanation: Adverse effects of CA inhibitors: Acidosis, hypokalaemia, drowsiness, paresthesias, fatigue, abdominal discomfort. Hypersensitivity reactions-fever, rashes, sulphonamides also cause hypersensitivity reactions. so the combination of these two drugs is not recommended Bone marrow depression is rare but serious. It is contraindicated in liver disease: may precipitate hepatic coma by interfering with urinary elimination of NH3 (due to alkaline urine). Acidosis is more likely to occur in patients of COPD. REF-Essentials of Medical Pharmacology, K.D Tripathi,6th edition, page 569